Which of the following is not an early adverse effect of methotrexate ?
1. Hepatic fibrosis
2. Myelosupression
3. Nausea
4. Stomatitis

Correct answer: 1. Hepatic fibrosis